High heat obturation technique is
1. thermofill
2. ultrafill
3. sectional filling
4. obtura II

Correct answer: 4. obtura II